Normal capillary wedge pressure
1. 0-2 mm Hg
2. 5-10 mm Hg
3. 15-20 mm Hg
4. 20-30 mm Hg

Correct answer: 2. 5-10 mm Hg

Explanation: Ans. (b) 5-10mmHgRef: Ganong, 25th ed/p.574Mean Pulmonary capillary wedge pressure (PCWP)=9mmHg (Range - 4 to 12 mm Hg)PCWP is usually measured using a balloon-tipped, multilumen catheter called Swan-Ganz catheter